Hb A2 concentration in thalassemia trait is –
1. 1
2. 1–2.5
3. 2.5–3.5
4. >3.5

Correct answer: 4. >3.5